Patient with IQ of 60 has -
1. Mild mental retardation
2. Moderate M..R
3. Severe M.R.
4. Profound M.R.

Correct answer: 1. Mild mental retardation